What is the mode of inheritance of APKD?
1. Autosomal dominant
2. Autosomal recessive
3. X-linked recessive
4. Mitochondrial inheritance

Correct answer: 1. Autosomal dominant

Explanation: Ans is 'a' i.e., Autosomal dominant Summary of Renal cystic disease InheritancePathologic featuresClinical features of ComplicationsAdult polycystic kidney diseaseAutosomal dominantLarge multicystic kidneys, liver cysts, berry aneurysmsHematuria, flank, pain, urinary tract infection, renal stones, hypertensionChildhood polycystic kidney diseaseAutosomal recessiveEnlarged cystic kidneys at birthHepatic fibrosisMedullary sponge kidneyNoneMedullary cysts on excretory urographyHematuria, urinary tract infection, recurrent renal stonesFamilial juvenile nephronophthisisAutosomal recessiveCorticomedullary cysts, shrunken kidneysSalt wasting, polyuria, growth retardation, anemiaAdult-onset meduallry cystic diseaseAutosomal dominantCorticomedullary cysts, shrunken kidneysSalt wasting, polyuriaSimple cystsNoneSingle or multiple cysts in normal-sized kidneysMicroscopic hematuria